Tumor seen exclusively in parotid:
1. Warthin tumor
2. Pleomorphic adenoma
3. Mucoepidermoid
4. Adenoid cystic carcinoma

Correct answer: 1. Warthin tumor

Explanation: Warthin Tumor: Virtually restricted to the parotid gland More common in Male; Smoking is most important risk factor EXTRA EDGE: Most common salivary gland tumor - Pleomorphic Adenoma. Most common Benign salivary gland tumor - Pleomorphic Adenoma MC Primary malignant salivary gland tumor - Mucoepidermoid carcinoma. Adenoid cystic carcinoma - Most aggressive salivary tumor, can cause perineural invasion. Larger the size of salivary gland more likely it's benign. Smaller the size of salivary gland more likely it's malignant. MC salivary gland involved - parotid gland > submandibular gland.